In a 12 year old child suffering from depression, which is not suggestive of development of bipolar disorder, later in life?
1. Rapid onset of depression
2. Presence of psychotic symptoms
3. Labile mood
4. Psychomotor agitation

Correct answer: 4. Psychomotor agitation

Explanation: If the child develops hypomania/ mania later in life then diagnosis would be Bipolar disorder. Clinical features predictive of bipolar disorder Early age of onset Psychotic depression before 25 years of age Postpartum depression (with psychotic features) Rapid onset & offset of depressive episodes of short duration (<3 months) Recurrent depression (>5 episodes) Depression with marked psychomotor retardation Atypical features (reverse vegetative signs) Seasonality Bipolar family history Trait mood lability Hyperthymic environment Hypomania a/w antidepressants Repeated (atleast 3 times) loss of efficacy of antidepressants after initial response Depressive mixed state